A 56 year old women presents with post-menopausal bleeding. Her Transvaginal scan shows endometrial thickness of 8mm. Endometrial biopsy shows moderately differentiated adenocarcinoma cells. Which of the following is most appropriate staging investigation
1. CT - Scan of Pelvis
2. Chest X-ray
3. MRI scan of Pelvis
4. Hysterosalpingography

Correct answer: 3. MRI scan of Pelvis

Explanation: MRI scan is used to determine extent of tumor for staging, so as to plan surgery